The most dreadful complication of Kawasaki disease is
1. Rash
2. Lymph node
3. Cardiac involvement
4. Thrombocytosis

Correct answer: 3. Cardiac involvement

Explanation: Kawasaki disease is an acute, febrile, usually self-limited illness of infancy and childhood (80% of the patients are younger than 4 years of age) associated with an arteritis of mainly large to medium-sized vessels. Its clinical significance stems from the involvement of coronary arteries. Coronary arteritis can cause aneurysms that rupture or thrombose, resulting in myocardial infarction. (Robbins basic pathology,9th edition,pg no.352)